Most common benign salivay gland tumor -
1. Pleomorphic adenoma
2. Warthin's tumor
3. Mucoepidermoid
4. Adenoid cystic

Correct answer: 1. Pleomorphic adenoma

Explanation: Ans. is 'a' i.e., Pleomorphic adenoma "Pleomorphic adenomas account for 40% to 70% of all tumors of the salivary glands, most commonly occurring in the tail of the parotid " __ SabistonAlso knowo IInd MC tumor of parotido MC malignant tumor of salivary glando The parotid tumor which spread through neural sheatho Best diagnostic modality for parotid swelling iso Open incisional biopsy is contraindicated.----WarthinsMucoepidermoid CaAdenoid cystic CaFNAC